Position of nucleus ambiguous is
1. Anteromedial to olive
2. Anterolateral to olive
3. Posteromedial to olive
4. Posterolateral to olive

Correct answer: 4. Posterolateral to olive

Explanation: Nucleus ambiguous lies at the level of olives in medulla, posterolateral to olives.It lies deep within the reticular formation and gives origin to the motor fibres of 9,10 and 11 cranial nerves. Along the posterolateral sulcus emerges the rootlets of 9,10and11 cranial nerves.(Ref: Vishram Singh textbook of clinical neuroanatomy second edition pg 73, fig 8.2)